Which is the most common contaminant in a positive blood culture
1. Staphylococcus epidermidis
2. Bacteriodes
3. Candida
4. Aceinobacter

Correct answer: 1. Staphylococcus epidermidis

Explanation: Staphylococcus epidermidis is the most common contaminant in positive blood culture among the given bacteria. Ref ananthnarayana and panikers microbiology textbook 8/e